Creatinine is synthesized from:
1. Glycine,arginine and methionine
2. Glycine and methionine
3. Ornithine and glycine
4. Thymine and ornithine

Correct answer: 1. Glycine,arginine and methionine

Explanation: A Harper, 26lh ed, p. 268, Fig (31 - 6) & 25th ed, p. 354